The efferent limb of cremaster reflex is carried by
1. Femoral branch of genitofemoral nerve
2. Genital branch of genitofemoral nerve
3. Ilio-inguinal nerve
4. Pudendal nerve

Correct answer: 2. Genital branch of genitofemoral nerve

Explanation: CREMASTER REFLEX: When we touch upper medial thigh in males, cremaster muscle contracts & pull the ipsilateral testicle towards inguinal canal. Afferent sensory information is carried by Femoral branch of Genitofemoral N. > Ilioinguinal N. towards spinal cord at level of L1 Efferent motor signal- Genital branch of Genitofemoral N. towards cremaster muscle to elevate the scrotum. Iliohypogastric Nerve (L1): Supplies skin above inguinal ligament Ilioinguinal Nerve (L1): Supplies skin of anterior scrotum and adjacent thigh Genitofemoral (L1, L2): Supplies skin below inguinal ligament, motor to cremaster muscle Note: Both the ilioinguinal nerve and genital branch of the genitofemoral nerve pass through the inguinal canal.